Brain abscess may be due to following-
1. Chronic suppurative otitis media
2. Chronic lung abscess
3. Trauma
4. Any of the above

Correct answer: 4. Any of the above